Rotavirus vaccine - contraindication is ?
1. SCID
2. Intussusception
3. Severe allergic reaction
4. All of the above

Correct answer: 4. All of the above

Explanation: Ans. is 'd 'i.e., All of the above